The best method of curtailing the second stage of labor in heart disease is by:
1. Prophylactic forceps
2. Prophylactic ventouse
3. Spontaneous delivery with episiotomy
4. Cesarean section

Correct answer: 2. Prophylactic ventouse

Explanation: Ans. is b, i.e. Prophylactic ventouseRef. Dutta Obs 7/e, p 278Management of heart disease patient in 2nd stage:No maternal pushing and the tendency to delay in the second stage of labor is to be curtailed by forceps or ventouse under pudendal and/or perineal block anesthesia. Ventouse is preferable to forceps as it can be applied without putting the patient in lithotomy position (raising the legs increases the cardiac load). --Dutta Obs 7/e, p 278